The following drugs are used in obesity, except:
1. Orlistat
2. Sibutramine
3. Olestra
4. Neuropeptide Y Agonist

Correct answer: 4. Neuropeptide Y Agonist

Explanation: Neuropeptide Y Antagonist are used in the medical management of obesity; Neuropeptide Y Agonist are not anti-obesity drugs. While Orlistat, Silbutramine and Olestra are used in the treatment of obesity. Ref: K D Tripathi Textbook of Pharmacology, 5th Edition, Pages 117-18; Obesity: Pathophysiology, Psychology and Treatment By George L. Blackburn, Beatrice Stefannie Kanders, Pages 283-99 3. Concise Dictionary of Pharmacological Agents: Properties and Synonyms By Dr. Ian Moon, Ian K. M. Moon, Judith M. Hall, Dr. Judith Hall, Page 192